Which of the following is responsible for protection from ultraviolet rays:
1. Stratum corneum
2. Langerhans cells
3. Apocrine sweat glands
4. Melanocyte

Correct answer: 4. Melanocyte

Explanation: Ans. D: Melanocyte Structure involved in protection against ultraviolet radiation is melanin produced by melanocytes and transferred to keratinocytes